Eisenmenger syndrome is characterized by all except -
1. Return of left ventricle & right ventricle to normal size
2. Pulmonary veins not distended
3. Pruning of peripheral pulmonary arteries
4. Dilatation of central pulmonary arteries

Correct answer: 1. Return of left ventricle & right ventricle to normal size

Explanation: Ans. is 'a' i.e., Return of left ventricle and right ventricle to normal size Eisenmenger syndrome is associated with severe pulmonary arterial hypertension and right ventricular hypertrophy. The right ventricular size will certainly not return to normal once eisenminger syndrome develops. Chest X-ray in Eisenmenger syndrome o Dilated and prominent central arteries. o Rapid tapering (pruning) of the peripheral pulmonary vasculature. o The hilar (central) area suggests pulmonary plethora whereas the peripheral lung fields suggest pulmonary oligemia. Clinical manifestations of Eisenmenger syndrome o Symptoms ---> Cyanosis (Differential cynosis in PDA), fatigue, effort intolerance and dyspnea. o Physical examination Cyanosis and clubbing Parasternal impulse (more in ASD) Palpable P2 Wide and fixed splitting of S, in ASD Pulmonary regurgitation murmur. Normal splitting of S2 in PDA Ejection systolic murmur (pulmonic). Single S2 or paradoxical splitting in VSD ECG Right ventricular hypertrophy with right axis deviation. 'P' pulmonale.